A highway truck driver has profuse rhinorrhoea and sneezing. Which amongst the following drugs would you prescribe him?
1. Pheniramine
2. Promethazine
3. Dimenhydrinate
4. Cetirizine

Correct answer: 4. Cetirizine

Explanation: It is a non-sedating second generation antihistaminic agent and is preferred for the patients requiring constant attention. It does not cause sedation or impairment of psychomotor function. Other drugs listed in the question are first generation antihistaminics.